All are true about anthropometric measures except
1. Birth weight triples by 1yr
2. Skinfold thickness is measured in subscapular region
3. Weight is measured to the nearest 100gms
4. Standing height is about 1.7cms less than the recumbent length

Correct answer: 4. Standing height is about 1.7cms less than the recumbent length

Explanation: Approximate weight at birth is 3kgs. At 6 months of age, weight doubles, becomes 6 kgs. At 1yr weight triples and becomes 9kgs. Whereas in a child less than 2 yrs of age , recumbent length is measured with an infantometre. In a child above 2 yrs of age standing height is measured with a stapediometre. And standing height is 0.7 cms less than recumbent height. Ref: Ghai, 9th edition, chapter 2